Brachytherapy means
1. Chemotherapy
2. Radiation administered interstially through catheters
3. Lasers
4. Radiation involving normal tissues

Correct answer: 2. Radiation administered interstially through catheters